Hyperacusis in Bell's palsy is due to the paralysis of the following muscle -
1. Tensor tympani
2. Levator palatini
3. Tensor veli palatini
4. Stapedius

Correct answer: 4. Stapedius

Explanation: Stapedius muscle dampens excessive vibrations of the stapes caused by high pitched sounds in order to protect the internal ear.
If this protective reflex is not elicited, it indicates stapedius paralysis and results in hyperacusis.